Inferior alveolar nerve block alone can be used in:
1. Pulpotomy of 3rd molar
2. Apicoectomy of 3rd molar
3. Extraction of 1st molar
4. Root resection of 1st molar

Correct answer: 1. Pulpotomy of 3rd molar